Collagen is found in all of the following, EXCEPT :
1. Ligament
2. Tendon
3. Fibroblasts
4. Aponeurosis

Correct answer: 3. Fibroblasts

Explanation: Fibroblasts produce type I collagen fibers that are found in tendons, ligaments and joint capsules. Type I collagen is found distributed throughout the body. It is found in fascia, tendons, ligaments, aponeuroses, capsule of glands, sclera, fibrocartilage, bone and dentin.Type II collagen is found in hyaline and elastic cartilage and cornea.Type III fibers are reticular fibers.Type IV fibers are seen in the basement membrane.Ligaments are connective tissue structures that connect bones. It is composed of both type I and type III collagen. Collagen constitutes possibly three fourth of its dry weight. Other less components present in collagen are proteoglycans, elastin and non collagenous glycoproteins such as fibronectin. Tendons are connective tissue structures consisting of spiraling bundles of collagen fibers. Tendon consists of longitudinally oriented type I collagen and mature fibroblasts.